All of the following features are seen in asbestosis except-
1. Diffuse pulmonary interstitial fibrosis
2. Fibrous pleural thickening
3. Emphysema
4. Calcific pleural plaques

Correct answer: 3. Emphysema